MMR is expressed as a rate per
1. 100 live births
2. 1000 live births
3. 10000 live births
4. 100000 live births

Correct answer: 4. 100000 live births

Explanation: Ref:Park's Text book of Preventive and Social Medicine 25th ed